All of the following conditions are observed in Marasmus, except -
1. Hepatomegaly
2. Muscle wasting
3. Low insulin levels
4. Extreme weakness

Correct answer: 1. Hepatomegaly

Explanation: Ans. is 'a' i.e., Hepatomegaly Changes in body composition in P.E.M. o Fluid considerations? Total body water in malnourished children is increased to 70-80% of body weight as compared to 60% in age matched well noarished controls. Activity of the sodium pump* is reduced. o Metabolic alterations. B.M.R. is reduced by 30% and energy expenditure due to inactivity is very low Child may behave like poikilotherm. o Endocrine changes. Insulin levels are reduced (child has glucose intolerance) Cortisol and growth hormone levels are increased. o Cardiovascular system Cardiac output and stroke volume are reduced Blood pressure is low and renal perfusion is compromised. o Renal function Glomerular.filtration rate and renal plasma flow are reduced in severe P.E.M. Urinary phosphate and sodium excretion are reduced.